All of the following are milestones at 7 months except-
1. Building a tower of 2 cubes
2. Stranger anxiety
3. Babbling
4. Resistance on toy being pulled from hand

Correct answer: 1. Building a tower of 2 cubes

Explanation: Ans. is 'a' i.e., Building a tower of 2 cubes AgeMilestone# 7 months# Holds the objects with crude grasp from palm (palmar grasp)# Pivots# Shows strangers anxiety# Resists if a toy is pulled from his hand.# Babbles